During progression of normal pregnancy, S/D ratio in umblical artery ?
1. Decreases
2. Increases
3. Plateau
4. Not significant

Correct answer: 1. Decreases

Explanation: Ans. is 'a' i.e., DecreasesThe commonly used parameters in the umbilical artery doppler are:SD ratio: systolic velocity/diastolic velocityPulsatility index (PI) (Gosling index): (PSV - EDV)/ TAVResistive index (RI) (Pourcelot index): (PSV - EDV) / PSVNormally the parameters mentioned above should decrease progressively as the pregnancy advances, as there is increase in the end diastolic velocity due to growth and dilatation of umbilical circulation.Any deviation in the parameters is suggestive of either IUGR or pre - eclampsia .Thus, during progressive monitoring of the umbilical artery Doppler, as the severity of the disease increases, we observe first:The decreased velocity in the end diastolic phaseThen absent flow in the end diastolic phase followed byReversal of flow in the end diastolic phase.